Site of absorption of Vitamin B12
1. Duodenum
2. Iejunum
3. Ileum
4. Colon

Correct answer: 3. Ileum

Explanation: Mnemonic Vitamin B12: 1 + 2 = 3
So maximum absorption in third part of small intestine. i.e: Ileum.